Danbury tremors seen in which chronic poisoning
1. Arsenic
2. Lead
3. Mercury
4. Zinc

Correct answer: 3. Mercury

Explanation: Mercurial tremors The hands are first affected. There will be tremors of the hands called Danbury tremors. It may progress to lips, tongue, arms, and legs. The tremors are moderately coarse and intentional to start with and are interspersed by jerky movements. The advanced condition is called hatter's shake or glass blower's shake. ref: FORENSIC MEDICINE AND TOXICOLOGY Dr PC IGNATIUS THIRD EDITION PAGE 428